Lymphoid tissue is the site of latent infection for which of the following herpes viruses?
1. Cytomegalovirus
2. Epstein barr virus
3. Herpes simplex virus type 1
4. Herpes simplex virus type 2

Correct answer: 2. Epstein barr virus

Explanation: Epstein barr virus is a human herpes virus type 4, belonging to the gamma family. Its latent infection is in the lymphoid tissues. While that of Herpes simplex virus type 1 and 2 is in neurons and that of cytomegalovirus is in secretary glands and kidneys. Ref: Textbook of Microbiology, Anathanaraya and panicker's, 8th Edition, Page 468